Prokaryotes are characterised by -
1. Absence of nuclear membrane
2. Presence of microvilli on its surface
3. Presence of smooth endoplasmic reticulum
4. All of the above

Correct answer: 1. Absence of nuclear membrane

Explanation: Ans. is 'a' i.e., Absence of nuclear membrane Some differences between Prokaryotic and eukaryotic cells Character Prokaryotes Eukaryotes Nucleus Nuclear membrane Absent Present Nucleolus Absent Present Deoxyribonucleoprotein Absent Present Chromosome One (circular) More than one (linear) Mitotic division Absent Present Cytoplasm Cytoplasmic streaming Absent Present Pinocytosis Absent Present Mitochondria Absent Present Lysosomes Absent Present Golgi apparatus Absent Present Endoplasm ic reticulum Absent Present Chemical composition Steroid Absent Present Muramic acid Present Absent